Acute malnutrition is manifested by
1. Weight for age
2. Weight for height
3. Age for height
4. Brocas index

Correct answer: 2. Weight for height

Explanation: Acute malnutrition is manifested by weight for height which is a result of more recent food deficit or illnessRef: Ghai Essential Pediatrics 8th edition